Vulvar atrophy and itching are treated by
1. Antihistamines
2. Estrogen ointment
3. Tamoxifen
4. None of the above

Correct answer: 2. Estrogen ointment

Explanation: Vaginal atrophy: - * Mainly related to menopause * Cause itching, dyspareunia, rarely bleeding Management by - local estrogen cream, selective estrogen receptor modulator. Ref:- Williams gynecology 3rd Edition; Pg num:- 263